All of the following muscle relaxants are metabolized in liver except:
1. Pancuronium
2. Vecuronium
3. Rocuronium
4. Mivacurium

Correct answer: 4. Mivacurium

Explanation: Mivacurium is metabolized by pseudocholinesterase present in plasma. Two neuromuscular blocker metabolized by pseudocholinesterase- succinyl choline and mivacurium Most aminosteroid metabolized by hepatic and renal pathway. atracurium and cisatracurium are metabolized by Hoffman degradation and nonspecific ester metabolism.